Maximum oogonia can be seen In ovaries at
1. 7th month of intrauterine life
2. 5th month of intrauterine life
3. At birth
4. At puberty

Correct answer: 2. 5th month of intrauterine life

Explanation: Oogonia multiply in large numbers by mitosis averaging about 6-7 million around 18-20 weeks of intrauterine life